Mexiletine is an oral active congner of
1. Dopamine
2. Lidocaine
3. Dobutamine
4. levodopa

Correct answer: 2. Lidocaine

Explanation: Ans. is'b'i.e., LidocaineRef: Clinical pharmacology 3'd/e p. 501; KDT Vhle p. 531Mexiletine is an orally active congener of lidocaine.It is a local anaesthetic and an orally active antiarrhythmic; chemically and pharmacologically similar to lidocaine.